Morbid jealousy is most often seen in patients taking-
1. Alcohol
2. Amphetamine
3. LSD
4. Cannabis

Correct answer: 1. Alcohol

Explanation: Morbid jealousy with delusions of infidelity about the wife (Othello syndrome) is extremely common in alcoholism. Morbid jealousy can also occur in schizophrenia, manic phase of bipolar illness, OCD, depression or anxiety disorder.